Which nerve supplies celiac plexus -
1. Phrenic N.
2. Greater splanchnic N.
3. Iliohypogastric N.
4. Inguinal N.

Correct answer: 2. Greater splanchnic N.

Explanation: Celiac ganglia
-        Located near to the origin of the celiac artery from the abdominal aorta.
-        Mainly formed by two ganglia.
-        Receives preganglionic sympathetic fibers from greater and lesser splanchnic nerves.